Most common site of GIST is
1. Stomach
2. Small intestine
3. Large intestine
4. Spleen

Correct answer: 1. Stomach

Explanation: Gastrointestinal Stromal Tumors Gastrointestinal stromal tumors (GISTs) are the most common sarcomatous tumors of the GI tract. Originally thought to be a type of smooth muscle sarcoma, they are now known to be a distinct tumor derived from the interstitial cells of Cajal, an intestinal pacemaker cell. They can appear anywhere within the GI tract, although they are usually found in the stomach (40% to 60%), small intestine (30%), and colon (15%). GISTs vary con- siderably in their presentation and clinical course, ranging from small benign tumors to massive lesions with necrosis, hemorrhage, and wide metastases